Seat worm is -
1. Enterobius
2. Dracunculus
3. Ankylostoma
4. Necator

Correct answer: 1. Enterobius

Explanation: Option 1 Enterobius vermicularis: Enterobius vermicularis is also called as Pinworm, seat worm, or threadworm. Habitat: large intestine Host: only man Infective form: Eggs Mode of transmission: ingestion of eggs with contaminated fingers or autoinfection. Option 2 Dracunculus medinensis:Causes Guinea worm disease or dracunculiasis. Option 3, 4 Hookworm: Ankylostoma duodenale and Necator americanus.